"Limey bile" is?
1. Present in the CBD
2. Thin and clear
3. Like toothpaste emulsion in the gall bladder
4. Bacteria rich

Correct answer: 3. Like toothpaste emulsion in the gall bladder

Explanation: Ans. (c) Like toothpaste emulsion in the gall bladderRef: Harrison 18th ed/2622* It is a complication of chronic cholecystitis.* Calcium salts in the lumen of the gall bladder in sufficient concentration may produce calcium precipitation and diffuse, hazy opacification of bile or a layering effect on plain abdominal radiography.* This so called limey bile or milk of calcium bile, is usually clinically innocuous but cholecystectomy is recommended, especially when it occurs in a hydropic gall bladder.* In the entity called porcelain gall bladder, calcium salt deposition within the wall of a chronically inflamed gall bladder may be detected on the plain abdominal film.